Stereognosis will be lost in the lesion of:
1. Fasciculus gracilis
2. Fasciculus cuneatus
3. Anterior spinothalamic tract
4. Lateral spinothalamic tract

Correct answer: 2. Fasciculus cuneatus

Explanation: Stereognosis is the ability to identify an object by its touch, texture. The object is placed in hands and is identified without seeing it. Fine touch sensation from the upper limb is carried toward cortex in fasciculus cuneatus. The tract also carries the finer aspects of touch. Perception of touch occurs in the somatosensory cortex I (areas 3, 1, 2); analysis and interpretation of the touch is done in the somatosensory cortex II (areas 5, 7).